A 68-year-old man has a long history of prostate cancer that was metastatic at the time of diagnosis. Over the past 2 months, he has had significant weight loss, loss of appetite, and loss of energy. His current spectrum of conditions can be attributed to which of the following
1. Platelet-derived growth factor
2. Fibroblast growth factor
3. Interleukin-2
4. Tumor necrosis factor-a

Correct answer: 4. Tumor necrosis factor-a

Explanation: Cachexia, or wasting due to cancer manifests with weakness, weight loss, anorexia, anemia, and infection. The principal cytokine responsible for such changes is tumor necrosis factor-a (TNF-a). -Both platelet-derived growth factor and fibroblast growth factor are involved in wound healing. -Interleukin-2 (IL-2) is an immuno-stimulating cytokine produced by activated T cells. -Vascular endothelial growth factor is important in the proliferation of blood vessels in a growing tumor.